what is not a function of PHC
1. Medical care
2. Referral services
3. Advanced laboratory services
4. MCH

Correct answer: 3. Advanced laboratory services

Explanation: Ref: 25th Ed K.Park's Textbook Of Preventive and Social Medicine